Which of the following is the drug of choice for the treatment of Syndrome of Inappropriate Antidiuretic Hormone secretion?
1. Demeclocycline
2. Vasopressin
3. Thiazide diuretics
4. Chlorpropamide

Correct answer: 1. Demeclocycline

Explanation: Ans. (A) Demeclocycline(Ref: Katzung 10/e p249)SIADH is due to excessive secretion of anti-diuretic hormone. It is diametrically opposite disease to diabetes insipidus. Vasopressin, thiazides and chlorpropamide are used for the treatment of diabetes insipidus whereas demeclocycline is used for SIADH management. Now-a-days, vasopressin receptor antagonists like tolvaptan and conivaptan are preferred for SIADH.